All of the following indications of vasopressin are based on stimulation of V2  receptors EXCEPT :
1. Central diabetes insipidus
2. Bed wetting in children
3. von–Willebrand's disease
4. Esophageal varices

Correct answer: 4. Esophageal varices